The most common source of embolism -
1. DVT
2. Trauma
3. Infection
4. Surgery

Correct answer: 1. DVT

Explanation: Ans. is 'a' i.e., DVT EMBOLISM o Embolism may be defined as movement of a detached intravascular solid, liquid or gaseous mass by the blood to a site distant from its origin. o More than 95% of emboli are thromboemboli, i.e., emboli representing dislodged thrombus. Thrombembolism In thromboembolism, the thrombus is completely or paially detached from the site of thrombus. The blood flow will then carry the embolus to various pa of vascular tree and the clinical outcome depends whether the emboli is originating in venous system or aerial system. Venous emboli o Most commonly venous embolism (pulmonary embolism) arises from DVT of lower limb. o Emboli originating from venous thrombi, i.e., venous embolism is usually lodged in pulmonary circulation Pulmonary embolism. Emboli from systemic vein ---> SVC & IVC --> Rt atrium --> Rt ventricle --> Pulmonary circulation Aerial emboli o Most systemic emboli arises from cardiac mural thrombi due to MI of Lt. ventricle. Systemic (Aerial) emboli are lodged mostly in aeries of lower limbs (75%) and brain (10%). Lt ventricle --> Aoa --> System aeries (lower limb, brain). Paradoxical emboli (Crossed embolism) Embolus takes origin from thrombus of vein, but may pass through ASD or VSD to gain access to the systemic circilation i.e., embolus from the vein crosses to the aerial blood system. Other less common type of embolism are : ? o Fat embolism o Amniotic fluid embolism o Septic embolism o Air embolism o Foreign body ambolism